Detoxification of drugs is controlled by
1. Cytochrome
2. Cytochrome P450
3. Cytochrome C
4. Cytochrome A

Correct answer: 2. Cytochrome P450

Explanation: Cytochrome p450enzymes are heme-containing enzymes localized in the endoplasmic reticulum of the liver. they engage in biotransformation reactions.they are monoamine oxidase. RH+O2+NADPH+H+________________> ROH+H2O+NADP+ Cytochrome p 450contains phosphatidylcholine. Almost all common drugs are metabolized by p450 system.there are about 150 isoforms.eg: CYP1A1 THEY are inducible enzymes .phenobarbitones causes increased activity of warfarin which is metabolized by CYP2C9. Some of the isoforms exhibit low catalytic reactivity. This explains variation in drug responses in different persons.Ref: MN Chatterjea Textbook of Medical Biochemistry, 7th Edition, Page no: 545